Anaesthetic effect of ether was demonstrated by-
1. Morgan
2. Priestly
3. Morton
4. None

Correct answer: 3. Morton

Explanation: Ans. is 'c' i.e., Morton Ether (Diethyl ether)o Morton, a dentist and medical student at Boston, after experimenting on animals, gave a demonstration of ether anaesthesia, in 1846.o It is highly volatile liquid, produces irritating vapours which are highly inflammable and explosive - cautery should not be used.o It is a potent anaesthetic with good analgesic and muscle relaxant property - Ether has maximum muscle relaxant property among anaesthetics.o It is highly soluble in blood - induction is prolonged and unpleasant with marked postoperative nausea and vomiting.o BP and respiration are well maintained because of reflex stimulation and high sympathetic tone.o It can cause hyperglycemia - Contraindicated in diabetic,o It is very cheap and relatively safe even in inexperienced hands.